Most common organism associated with reactive arthritis is:
1. Staphylococcus
2. Shigella
3. Chlamydia
4. Yersinia

Correct answer: 3. Chlamydia

Explanation: Chlamydia [Ref: Harrison 21st edition Reactive arthritis is a systemic disorder of unknown etiology that is defined by the development of conjunctivitis, urethritis, arthritis, and mucocutaneous lesions following an episode of infection elsewhere in the body. In 1916, Hans Reiter described the triad of nongonococcal urethritis, conjunctivitis, and arthritis in a young German officer with bloody dysentery.The classic triad of the disease, namely urethritis, arthritis, and conjunctivitis, is present in only one third of the patients. Reactive arthritis is frequently associated with the human leukocyte antigen B27 (1-ILA-B27) haplotype. The etiology of reactive arthritis remains uncertain. The most accepted theory about the pathophysiology of reactive arthritis involves initial activation by a microbial antigen, followed by an autoimmune reaction that involves the skin, eyes, and joints. Two forms are recognized: a sexually transmitted form and a dysenteric form. Gastrointestinal infections with Shigella, Salmonella, and Campylobacter species and other microorganisms, and genitourinary infections especially with Chlamydia trachomatis have been found to trigger reactive arthritis. Young children tend to have the post dysenteric form, whereas adolescents and young men are most likely to acquire reactive arthritis after they have urethritis.